Anderson and Hillman in 1971 introduced this into orthodontics?
1. β NiTi
2. NiTinol
3. Chinese NiTi
4. Sentalloy

Correct answer: 2. NiTinol